Insulin release is inhibited by:
1. Somatostatin
2. Glucagon
3. Acetylcholine
4. Amino acids

Correct answer: 1. Somatostatin

Explanation: Somatostatin, secreted by d cells of pancreas, inhibits the other two secretions of the endocrine pancreas - insulin & glucagon. The primary stimulators of the somatostatin are glucose, amino acids, and fatty acids. Parasympathetic nervous system (vagus/Ach) is a stimulator of insulin secretion. Insulin secretion is inhibited by epinephrine acting alpha-2 adrenergic receptors. Amino acids, FFAs, and glucose are the stimulators of insulin secretion.